Opinion of a people for a test was expressed as very satisfied, dissatisfied, very dissatisfied:
1. Nominal
2. Ordinal
3. Interval
4. Ratio

Correct answer: 2. Ordinal

Explanation: Ordinal